A 17 years old female presents w ith sore throat, lymphadenopathy and positive heterophile antibodies test. Diagnosis is -
1. Tuberculosis
2. Streptococcal pharyngitis
3. Infectious mononucleosis
4. Cytomegalic inclusion disease

Correct answer: 3. Infectious mononucleosis

Explanation: Ans. is 'c' i.e.. Infectious mononucleosis Infectious mononucleosiso Most primary infections are asymptomatico Causes an acute self limited illnesso Incubation periodo Age groups---Infectious mononucleosis(AI l3,AIMS 99) (Glandular fever)4-8 weeksvoune adultso Most common symptom of I Mis is sore throato Most common sign is lymphadenopathyo Most common complication - meningitis/encephalitisLaboratory diagnosiso In 1MN, there is predominantly lymphocytosis with presence of 20% or more atypical lymphocytes. These atypical lymphocytes are activated T-lymphocytes which have round or irregularly shaped nuclei, with abundant flowing cytoplasm that characteristically has a dark-staining peripheri.o Following serological test are used1. Heterophile antibodies testThe standard diagnostic procedure in children and young adults is heterophile antibodies test-Paui Bunnell TestA titre of 40 fold or greater is diagnostic of acute EBV infection in a patient who has symptoms compatible with infectious mononucleosis.Test usually remains positive for 3 months.Test is usually negative in children < 5 years, in elderly or in patients with symptoms not typical of infectious mononucleosis.Monospot test for heterophile antibodies is more sensitive than the classical heterphile test2. EBV specific antibody testUsed in patients who lack heterophile antibodies (children <5 years) and for patients with atypical presentation.Anti-viral capsid antigen (anti-VC A) - most commonAnti-EB V nuclear antigen (anti-EBN A)Anti - early antigen (anti - EA)